Mutation in protein associated with restrictive cardiomyopathy?
1. Myosin regulatory proteins
2. Myosin binding protein-C
3. Troponin I
4. Tropomyosin

Correct answer: 3. Troponin I

Explanation: Ans. is 'c' i.e. Troponin I * RCM-associated mutations have been reported in four genes that encode key sarcomeric proteins/myofilaments1. MYH7 gene - b-Myosin heavy chain2. TNNI3 gene - Cardiac troponin I type 33. TNNT2 gene- Cardiac troponin T type 24. ACTC gene - a- actin* Mutations in the TNNI3 gene & MYH7 gene are the major causes of this condition.